Ciprofloxacin should not be given to an asthmatic using theophylline because:
1. Ciprofloxacin inhibits theophylline metabolism
2. Theophylline inhibits ciprofloxacin metabolism
3. Ciprofloxacin decreases effect of theophylline
4. Theophylline induces metabolism of ciprofloxacin

Correct answer: 1. Ciprofloxacin inhibits theophylline metabolism

Explanation: Ans. (A) Ciprofloxacin inhibits theophylline metabolism(Ref: KDT 8/e p761)Theophylline has a narrow margin of safety (low therapeutic index) Ciprofloxacin inhibits theophylline metabolism and increases its plasma level leading to toxicity. Thus, ciprofloxacin should not be given to an asthmatic using theophylline.